Which part of the brain is most commonly effected in Alzheimer's disease?
1. Locus ceruleus
2. Entorhinal cortex
3. Frontal cortex
4. Cerebellum

Correct answer: 2. Entorhinal cortex

Explanation: "Entorbinal cortex / Medial temporal lobe" is most commonly affected in Alzheimer's disease.